In stretch reflex, the stimulus is
1. Change in muscle length
2. Change in muscle tension
3. Pain in muscle
4. Cessation of blood supply

Correct answer: 1. Change in muscle length

Explanation: The stretch reflex (myotatic reflex) is a muscle contraction in response to stretching within the muscle. It is a monosynaptic reflex which provides automatic regulation of skeletal muscle length.Ref: Ganong's review of medical physiology 23rd edition Page no: 158